Most common Complication of TIPSS procedure
1. Heart failure
2. Hepatic Encephalopathy
3. Thrombosis
4. Recurrent Variceal bleed

Correct answer: 2. Hepatic Encephalopathy

Explanation: Since systemic blood is shunted toxins ( NH3) travel to brain
causing encephalopathy. Hence TIPSS is contra indicated in
encephalopathy patients.